Least MAC is of which inhalational agent
1. Xeonon
2. Halothane
3. Sevoflurane
4. Isoflurane

Correct answer: 2. Halothane

Explanation: Agent MAC(%)EtherHalothaneEnfluraneIsofluraneDesfluraneSevofluraneNitrous oxide 1.90.751.681.26.02.0105(Refer: Morgan and Mikhail's Clinical Anaesthesiology, 5th edition, pg no. 167-169)